Insulin preperation with longest action
1. Aspart
2. Lispro
3. Glargine
4. NPH

Correct answer: 3. Glargine

Explanation: Properties of Insulin PreparationsPreparationTime of Action (Hr)Onset PeakEffective durationShort actingAspart<0.250.5-1.52-4Glusiline<0.250.5-1.52-4Lispro<0.250.5-1.52-4Regular0.5-1.02-33-6Long actingDetemir1-4---12-24Glargine2-4---12-24NPH2-44-1010-16Ref: Harrison 19e pg: 2411